Transitional cell carcinoma of bladder is associated with -a) Schistosomiasisb) Naphthylaminec) Smokingd) Tuberculosis of bladder
1. ab
2. abc
3. acd
4. bcd

Correct answer: 2. abc

Explanation: Risk factors for Transitional cell ca of Bladder

Cigarette smoking - is the main etiological factor and accounts for about 50% of bladder cancers.
Occupational exposures to chemicals


the following compounds may be carcinogenic 

2 naphthylamine - combustion gases and soot from coal
4-aminobiphenyl - chlorinated aliphatic hydrocarbons
4-nitrobiphenyl - certain aldehydes such as acrolein
4-4-diaminobiphenyl (benzidine) - aniline dyes
2-ami-l-naphthol
Occupation reported to be associated with increased risk of bladder cancer

autoworkers - metal workers
painters - textile worker
truck drivers - dye workers
drill press operator - petrol workers
leather workers  - rodent exterminators & sevage workers leather workers


Schistosoma haemotobium - it's a risk factor for both transitional cell ca & squamous cell ca.
Drugs such as phenacetin & chlornaphazine
Cyclophosphamide therapy
Pelvic irradiation


Vitamin A supplements appear to be protective.